Drug of choice for ADHD is
1. Methylphenidate
2. Modafinil
3. Amitriptyline
4. Adrenaline

Correct answer: 1. Methylphenidate